The contraindications for progestasert include the following except -
1. Pelvic inflammatory disease
2. Uterine fibroids
3. Previous history of ectopic pregnancy
4. Previous history of abortion

Correct answer: 4. Previous history of abortion

Explanation: park's textbook of preventive and social medicine 23rd edition. *contraindications absolute: suspected pregnancy, PID,vaginal bleeding,cancer of cervix,uterus or adnexa, previous ectopic pregnancy. *relative:anaemia, menorrhagia, history of PID PID in last pregnancy, purulent cervical discharge, distortion of uterine cavity due to congenital malformation ,fibroid ,un motivated persons.